Totting fence post appearance of femur is seen in:
1. Fibrous dysplasia
2. Hyper parathyroidism
3. Pagets disease
4. Fracture neck of femur

Correct answer: 2. Hyper parathyroidism

Explanation: Ans: B (Hyperparathyroidism) Ref: Harrison's Principles of Internal Medicine, 18th ed. and Internet Source Explanation: Renal Osteodystrophy CRF leading on to hyperparathyroidism Signs of chronic renal failure Findings of osteomalacia Hyperparathyroidism Bone sclerosis Rugger jersey spine Totting fence post appearance: Due to Rickets + Hyperparathyroidism In children, metaphyseal changes resembling rickets are seen, which together with cortical erosions can give rise to the so-called Totting fence-post' appearance, particularly at the femoral neck. Looser's zone